The internal capsule is made up of which of the following fibres ?
1. short association fibres
2. long association fibres
3. commissural fibres
4. projection fibres

Correct answer: 4. projection fibres

Explanation: Projection Fibres- These are fibres which connect the cerebral cortex to other parts of the CNS, e.g.1) the brainstem and spinal cord. Many important tracts, e.g.2) corticospinal and corticopontine are made up of projection fibres. Ref : B D Chaurasia's Human Anatomy , seventh edition , volume 4, pg . no., 145.